Which is not a germ cell tumour.
1. Dysgerminoma
2. Teratoma
3. Granulosa theca cell tumour
4. Embryonal cell carcinoma

Correct answer: 3. Granulosa theca cell tumour

Explanation: Epithelial Ovarian Tumour